All of the statements regarding progesterone only pill are true, except
1. Inhibits ovulation
2. Failure rate is the same as combined OCP
3. Irregular bleeding is a known complication
4. Acts by altering the cervical mucous

Correct answer: 2. Failure rate is the same as combined OCP

Explanation: Failure rate of combined OCP is 0.2/100 women years, whereas failure rate of progesterone only pill is about 0.5 - 2 per 100 women years of use. Progesterone only pill acts by thickening cervical mucous, causing atrophy of endometrium or by inhibiting ovulation.